Strawberry cervix is seen in-
1. Trichomonas
2. Chlamydia
3. Gonococcal infection
4. Candida

Correct answer: 1. Trichomonas

Explanation: Ans. is 'a' i.e., Trichomonas